Sling operation include all except:
1. Khanna procedure
2. Shirodkars procedure
3. Abdominocervicopexy
4. Le Fort repair

Correct answer: 4. Le Fort repair

Explanation: Ans: d (Le Fort repair) Ref: Shaw, 13th ed, p. 329Le Fort operation is done in old age with procidentia when the patient is unfit for longer duration of surgery.Abdominal sling operations have been designed for young women suffering from 2nd or 3rd degree prolapse, who wish to retain their child bearing and menstrual functions.Sling Operations (Cervicopexy)1. Purandare abdominal sling2. Khanna abdominal sling3. Shirodkar abdominal slingOther surgical procedures for genital prolapse.VH with PFRIndications1. UV prolapse in post menopausal women2. Genital prolapse in perimenopausal age group with DUB. unhealthy cervix or small fibroid3. As an alternative to abdominal hysterectomy or Fothergill operation or LAVHFothergills repair (Manchester operation)Indications* Women below 40 yrs who have completed their family but desirous of retaining their menstrual function* Infra vaginal elongation of cervix.Vault prolapse ManagementConservativePessary treatmentSurgicalTrans vaginal1. Le Fort's operation2. Colpoclesis3. Sacrospinous colpopexyAbdominal1 .Vault suspension (Sacral colpopexy)Prevention of Enterocele while doing AH (Culdoplasty)McCallMoschcowitzHaitianTreatment of procidentia:VH with PFR + right sacrospinous colpopexy.